Investigation of choice for bronchiectasis
1. Alpha 1-antitrypsin level
2. ANCA
3. Ds-DNA
4. CT

Correct answer: 4. CT

Explanation: Chest CT is more specific for bronchiectasis and is the imaging modality of choice for confirming the diagnosis.CT findings include airway dilation(tram track or signet ring sign),lack of bronchial tapering,bronchial wall thickening in dilated airways,inspissated secretions or cysts emanating from the bronchial wall Ref:Harrison's med:18th edition,page no:2143.